Which of the following is the rarest modification in a fibroid uterus :
1. Red degeneration
2. Calcification
3. Hyalinization
4. Sarcomatous changes

Correct answer: 4. Sarcomatous changes

Explanation: Sarcomatous changes